Round worm infection is best treated with:
1. Metronidazole
2. Mebendazole
3. Albendazol
4. Pyrantel pamoate

Correct answer: 3. Albendazol

Explanation: It is a subsequently introduced congener of mebendazole: retains the broad-spectrum activity and excellent tolerability of its predecessor, and has the advantage of single dose administration in many cases. One dose treatment has produced cure rates in ascariasis, hookworm (both species) and enterobiasis which are comparable to 3 day treatmentwithmebendazole. ESSENTIALS OF PHARMACOLOGY page no. 850